Anteroposterior diameter of normal adult eyeball is:
1. 25 mm
2. 24 mm
3. 23.5 mm
4. 23 mm

Correct answer: 2. 24 mm

Explanation: Ans. 24 mm